False about IgM Antibody
1. Has highest molecular weight
2. Has Highest Sedimentation Co-efficient
3. It is monomeric in nature
4. IgM is responsible for Agglutination

Correct answer: 3. It is monomeric in nature

Explanation: IgM is pentameric in structure with 10 valency.